Mayo's operation is done for -
1. Spigelian hernia
2. Femoral hernia
3. Richer's hernia
4. Umbilical hernia

Correct answer: 4. Umbilical hernia